Which of the following is the muscle relaxant of choice in renal failure -
1. Rapacurium
2. Pancuronium
3. Atracurium
4. Rocuronium

Correct answer: 3. Atracurium

Explanation: Ans. is 'c' i.e., Atracurium The unique feature of atracurium is inactivation in plasma by spontaneous nonenzymatic degradation (Hofmann elimination) in addition to that by Alkaline ester hydrolysis. Consequently its duration of action is not altered in patients with hepatic / renal insufficiency or hemodynamic circulation It is the preferred muscle relaxant for such patients as well as for neonates and elderly.